Fungus having non-septate hyphae and producing sporangiospores is:
1. Ascomycetes
2. Basidiomycetes
3. Phycomycetes
4. Fungi imperfectii

Correct answer: 3. Phycomycetes

Explanation: Ans. C: Phycomycetes Phycomycetes are lower fungi which have non-septate hyphae and form endogenous asexual spores (sporangiospores) contained within sporangia Systematic classification of fungi, based on their sexual spore formation, recognizes 4 classes: Phycomycetes: Non-septate hyphae, produces sporangiospores (asexual spores), oospores and zygospores (sexual spores) Ascomycetes: Septate hyphae, Produces conidia (asexual spores) and ascospores (sexual spores) Basidiomycetes: Septate hyphae, Produces conidia (asexual spores) and basidioapores (sexual spores) Fungi imperfectii: Septate hyphae, Produces conidia (asexual spores) and Whose sexual phase has not been identified Phycomycetes It is an taxon for certain fungi with nonseptate hyphae. These fungi are classified under Zygomycota Zygomycota/ zygote fungi, term is derived from zygosporangia, where resistant spherical spores are formed during sexual reproduction. They are mostly terrestrial in habitat, living in soil or on decaying plant or animal material. Zygomycete hyphae may be coenocytic, forming septa only where gametes are formed or to wall off dead hyphae The common example of a zygomycete is black bread mold (Rhizopus stolonifer), a member of the Mucorales. It spreads over the surface of bread and other food sources, sending hyphae inward to absorb nutrients. In its asexual phase it develops bulbous black sporangia at the tips of upright hyphae, each containing hundreds of haploid spores.As in most zygomycetes, asexual reproduction is the most common form of reproduction. Sexual reproduction in Rhizopus stolonifera, as in other zygomycetes, occurs when haploid hyphae of different mating types are in close proximity to each other. Growth of the gametangia commences after gametangia come in contact, and plasmogamy, or the fusion of the cytoplasm, occurs. Karyogamy, which is the fusion of the nuclei, follows closely after. The zygosporangia are then diploid. Zygosporangia are typically thick-walled, highly resilient to environmental hardships, and metabolically inert. When conditions improve, however, they germinate to produce a sporangium or vegetative hyphae. Meiosis occurs during germination of the zygosporagium so the resulting spores or hyphae are haploid. Grows in warm and damp conditions.